In Budd chiary syndrome , the site of venous thrombosis is
1. Infra venal IVC
2. Infra hepatic IVC
3. Hepatic veins
4. Portal veins

Correct answer: 3. Hepatic veins

Explanation: i.e. (Hepatic veins): (673-CMDT-ll) (661, 733, 1945, 1950 H17th)Budd chiary syndrome is characterized by post sinusoidal obstruction outside the liver at the level of hepatic veinsFactors that predispose to hepatic vein thrombosis (Budd chiary syndrome)* Polycythemia vera** or other myeloproliferative disease* Activated protein C resistance (factor V Leiden mutation)* Protein C or S or antithrombin deficiency*** Hyper prothrombinemia (factor 11 G 20210 A mutation)* Methylenetetra hydrofolate reductase TT 677 mutation,* Antiphospholipid antibodies* Caval webs, right sided heart failure or constrictive pericarditis, neoplasm.* Paroxysmal nocturnal hemoglobinuria, Behcet's syndrome, blunt abdominal trauma, use of oral contraceptives** and pregnancy* Some cytotoxic agents (cyclophosphamide, azathioprine, carmustine, busulfan or etoposide) and pyrrolizidine alkaloids ("bush & eas")The screening test of choice is contrast - enhanced, color or pulsed doppler ultrasonography* Classical Triad of Budd Chiary Syndrome - Abdominal pain, ascites and hepatomegaly